Per TCA with 3 NADH and 1 FADH2, generates how many ATP?
1. 6
2. 9
3. 12
4. 15

Correct answer: 2. 9

Explanation: Ans. is 'b' i.e., 9One NADH produces 2.5 ATP and one FADH2 produces 1.5 ATP. Thus 3 NADH and 1 FADH2 will produce 9 ATP.There is production of ATP at substrate level also, Thus total 10 ATP molecules are produced per cycle.